Which is True about dobutamine ?
1. Dobutamine decreases peripheral resistance
2. Acts on D1 and D2 receptors
3. Decrease kidney circulation
4. Has no effect on coronary circulation

Correct answer: 1. Dobutamine decreases peripheral resistance

Explanation: Dobutamine acts by activating β1  receptors and may decrease the peripheral resistance by its minor effect on β2 receptors. It has no effect on dopamine D1 or D2 receptors.

Dobutamine is a direct-acting inotropic agent whose primary activity results from stimulation of the β receptors of the heart while producing comparatively mild chronotropic, hypertensive. Arrhvthmogenic, and vasodilative effects. It does not cause the release of endogenous norepinephrine, as does dopamine. In animal studies, dobutamine produces less increase in heart rate and less decrease in peripheral vascular resistance for a given inotropic effect than does isoproterenol. 
Systemic vascular resistance is usually decreased with administration of dobutamine. Occassionally minimum vasoconstriction has been observed. Similarly coronary blood flow may be increased with dobutamine.